. Respiratory centre depression is caused by all except-
1. Opium
2. Strychnine
3. Barbiturates
4. Gelsemium

Correct answer: 2. Strychnine

Explanation: Strychnine is a toxic alkaloid that acts as an antagonist of the inhibitory glycine receptor of CNS,thereby producing overstimulation of nervous system. Barbiturates,opioids and gelsemium(yellow jasmine) are potential respiratory centre depressants.